Which type of reflex will be when mandible is in rest position?
1. Flexor reflex
2. Extensor reflex
3. Motor reflex
4. Myotactic reflex

Correct answer: 4. Myotactic reflex